A 17 year old female presents with a pruritic rash localized to the wrist. Papules and vesicles are noted in a bandlike pattern, with slight oozing from some lesions. The most likely cause of the rash is
1. Herpes simplex
2. Shingles
3. Contact dermatitis
4. Seborrheic dermatitis

Correct answer: 3. Contact dermatitis

Explanation: Contact dermatitis causes pruritic plaques or vesicles localized to an area of contact. In this case, a bracelet or wristband would be the inciting agent. The dermatitis may have vesicles with weeping lesions. The process is related to direct irritation of the skin from a chemical or physical irritant. It may also be immune-mediated.